An addicted patient presenting with visual and tactile hallucinations, has black staining of tongue and teeth. The agent is :
1. Cocaine
2. Cannabis
3. Heroin
4. Opium

Correct answer: 1. Cocaine

Explanation: A i.e. Cocaine